During skeletal muscle contraction:
1. A band shorten
2. Both H and I band shorten
3. Both A and I band shorten
4. Both A and H band shorten

Correct answer: 2. Both H and I band shorten

Explanation: During  muscle contraction,  two Z lines come  closer;  the  length  of  the  ‘A  band’ remains constant whereas the length of H and I band decreases. The M line becomes more prominent.